A female aged 30 presents with episodic throbbing headache for past 4 years. It usually involves one half of the face and is associated with nausea and vomiting. There is no aura, most likely diagnosis is-
1. Migraine
2. Cluster headache
3. Angle closure glaucoma
4. Temporal arteritis

Correct answer: 1. Migraine